Which of the following is a pre-requisite for the Chi square test to compare
1. Both sample should be mutually exclusive
2. Both sample need not be mutually exclusive
3. Normal distribution
4. All of the above

Correct answer: 1. Both sample should be mutually exclusive

Explanation: Ans. is 'a' i.e., Both sample should be mutually exclusive Chisquare test and fisher's exact test has following assumptions:? Random Sampling of data Data must from contingency table which contains the values that are numbers of subjects observed. The categories defining the rows and columns of contigency table must be mutually exclusive. Subjects are independent. The measurement are independent.